During ocular surgery, when eye surgeon touches the medial rectus, he asked to assistant to measure heart rate because of
1. Occulocardiac reflex
2. Occulocephalic reflex
3. Occulovagal reflex
4. None

Correct answer: 1. Occulocardiac reflex